All are true of long standing sickle cell anemia except-
1. Nonnocytic nonnochromic anemia
2. Recurrent jaundice
3. Cholelithiasis
4. Massive splenomegaly

Correct answer: 4. Massive splenomegaly